Gingivitis is at its peak in children at age:
1. 3 - 4 years
2. 6 - 7 years
3. 11 - 13 years
4. 15 -18 years

Correct answer: 3. 11 - 13 years